Apatientpresents tothecasualtywiththehistory chest pain and hypotension. The ECG reveals changes of hyperacute inferior wall myocardial infarction. What other cardiac condition would you like to exclude with this myocardial infarction?
1. Right ventricular infarction
2. Lateral wall infarction
3. Hypersensitive carotid sinus
4. Septum secundum atrial septal defect

Correct answer: 1. Right ventricular infarction

Explanation: Ref: R Alagappan - Manual of Practical Medicine 4th Edition.pg no:188